The 'Red complex' associated with bleeding on probing is comprised of
1. E.corrodens, A.actinomycetem comitans, Capnocytophaga
2. A.naeslundii, A.viscosus, A.odontolyticus
3. P.gingivalis, T.forsythia, T.denticola
4. Streptococcus, Fusobacterium, Campylobacter

Correct answer: 3. P.gingivalis, T.forsythia, T.denticola